Materia alba
1. Lack microorganisms
2. Has an irritating effect on gingiva
3. Has a regular internal pattern
4. Is only salivary protein and food debris

Correct answer: 2. Has an irritating effect on gingiva